Tests for Mycobacterium tuberculosis on whole blood is :
1. Tuberculin
2. IGRA
3. GeneXpert MTB/RIF test
4. BACTEC

Correct answer: 2. IGRA

Explanation: Interferon-Gamma Release Assays(IGRAs) are whole-blood tests that can aid in diagnosing Mycobacterium tuberculosis infection. The IGRA tests identify the presence of Mycobacterium tuberculosis infection by measuring the immune response to the TB bacteria in whole blood. They do not however help to differentiate Latent tuberculosis infection (LTBI) from tuberculosis disease. Two IGRAs that have been approved by the US Food and Drug Administration (FDA) are commercially available in the US. QuantiFERON(r)-TB Gold In-Tube test (QFT-GIT) T-SPOT(r).TB test (T-Spot) Ref: Ananthanarayana and Paniker 9th edition